BRCA 2 gene is associated with carcinoma of
1. Breast
2. Lung
3. Liver
4. Gastric carcinoma

Correct answer: 1. Breast

Explanation: The genes associated with breast cancers are p53, BRCA1 and BRCA2. BRCA2 is located on chromosome 13q and there is an association with male breast cancer. While BRCA1 gene has been associated with an increased incidence of breast and ovarian cancer and is located on the long arm of chromosome 17(17q). Reference : Bailey & Love, 27th Edition, page no =880.